USG FAST does not involve scanning of which region from the following?
1. Pericardial
2. Pleural
3. Pelvic
4. Hepatic

Correct answer: 2. Pleural

Explanation: Ans is 'b' i.e., Pleural Focused abdominal sonar for trauma (FAST)* FAST is a technique whereby ultrasound imaging is used to assess the torso for the presence of blood, either in the abdominal cavity or in the pericardium. The purpose of the ultrasound evaluation of the injured casualty is to determine the presence of free intra-abdominal or pericardial fluid. The technique therefore focuses only on four areas : a) Pericardial, b) Splenic, c) Hepatic and d) Pelvic